Bett's classification deals with ?
1. Ocular trauma
2. Ocular foreign body
3. Squint
4. Maculopathy

Correct answer: 1. Ocular trauma

Explanation: Ans. is 'a' i.e., Ocular trauma BETTS (Birmingham Eye Trauma Classification System) Ocular trauma classification group has organized eye injuries using standard technology to describe various forms of ocular injury. This is called BETTS - Birmingham Eye Trauma Classification System.